Which of the following is a contraindication for breastfeeding?
1. Hep A
2. Hep B
3. CMV
4. Active untreated TB

Correct answer: 4. Active untreated TB

Explanation: d. Active untreated TB(Ref: Nelson's 20/e p 287)Related to baby: Galactosemia, Lactose intoleranceRelated to mother:AbsoluteRelative contraindications to breastfeedingMother on Chemotherapy or RadiotherapyConditionCommentMaternal HIVContraindicated in developed countries; In developing countries, mixed feeding is contraindicatedActive untreated TBBreastfeeding is contraindicated until completion of at least 2 weeks of antitubercular therapyVaricella-zosterInfant should not have direct contact to active lesions; Infant should receive immune globulinHerpes simplex infectionBreastfeeding is contraindicated with active herpetic lesions of the breast